Relative risk of a disease measures which of the following -
1. Strength of association between suspected cause and effect
2. Biological plausibility between suspected cause and effect
3. Temporal relationship between suspected cause and effect
4. Specificity of association between suspected cause and effect

Correct answer: 1. Strength of association between suspected cause and effect